The bursa communicating with knee joint is
1. Infrapatellar
2. Prepatellar
3. Suprapatellar
4. Lateral patellar

Correct answer: 3. Suprapatellar

Explanation: The suprapatellar bursa communicates with the cavity of the knee joint.Inflammation of the infrapatellar bursa is known as Clergyman's knee and prepatellar bursa is known as Housemaid's knee.The Anserine bursa separates the insertions of Semitendinosus, Sartorius and Gracialis from tibia.